Least conduction velocity is seen in:
1. AV node
2. Purkinje fibers
3. Bundle of His
4. Ventricular myocardial fibres

Correct answer: 1. AV node